Which nerve is damaged in ant dislocation of shoulder:
1. Axillary
2. Median
3. Radial
4. Musculocutaneous

Correct answer: 1. Axillary

Explanation: A i.e. Axillary nerve